Epidural hemorrhage commonly occurs from tearing of:
1. Maxillary artery
2. Middle meningeal artery
3. Bridging veins
4. All of the above

Correct answer: 2. Middle meningeal artery

Explanation: Ans. B: Middle Meningeal Artery An extradural haematoma is always associated with a skull fracture and is more common in young male patients. The skull fracture is associated with tearing of a meningeal artery and a haematoma accumulates in the space between bone and dura